D cells of Islet of Langerhans of pancreas secrete?
1. Insulin
2. Glucagon
3. Gastrin
4. Somatostatin

Correct answer: 4. Somatostatin

Explanation: Ans. D SomatostatinRef: Ganong, 25th ed. pg. 154Somatostatin is found in the D cells of pancreatic islets. It inhibits the secretion of insulin, glucagon, and pancreatic polypeptide and may act locally within the pancreatic islets in a paracrine fashion.